Which of the following is true about obstructive azoospermia:
1. FSH and LH increased
2. Normal FSH and normal LH
3. LH raised/ Normal FSH
4. FSH raised, Normal LH

Correct answer: 2. Normal FSH and normal LH

Explanation: Normal FSH and LH level indicate an obstructive lesion in the vas or epididymis. High FSH indicates gonadal failure. 
Low FSH Indicates pituitary or hypothalamic failure.